According to Cancer cervix tumor size, which of the following is the Cut-off size of tumor UP TILL which primary surgical treatment is the best option?
1. All size of tumors have good results
2. < 5MM DEPTH OF INVASION
3. <2 cms tumor size
4. <4cms tumor size

Correct answer: 4. <4cms tumor size

Explanation: It is prudent not to operate on lesions that are larger than 4 cm in diameter because these patients will require postoperative radiation therapy. When selected in this manner, the urinary fistula rate is less than 2%, and the operative mortality rate is less than 1%.